Which of the following drugs is NOT used in scabies?
1. Benzene hexachloride
2. Permethrin
3. Ciclopirox oleamine
4. Crotamiton

Correct answer: 3. Ciclopirox oleamine

Explanation: Ans. (C) Ciclopirox oleamine(Ref: Neeta Khanna 1th/e p265; KDT 6th/e p863)Scabicides used in the t/t of scabies are:Permethrin (5%)Benzyl benzoate (25%)Gamma benzene hexachloride (BHC) (1%)Crotamiton (10%)Ivermectin